A girl presented with symptoms of pharyngitis. Group A hemolytic pharyngitis is due to?
1. Local infection
2. Hematogenous spread
3. Lymphatic spread
4. None of the above

Correct answer: 1. Local infection

Explanation: Local infection is the most common cause of inflammation of pharyngeal structures or acute pharyngitis. Group A beta-hemolytic streptococcus is a common causative organism in both pharyngitis and tonsillitis. Local infection and inflammation cause lymph node enlargement, swelling, erythema, and pain.